Crossed occulomotor palsy is seen in occlusion of
1. Post. Cerebral art
2. Middle cerebral art
3. Ant. Cerebral art
4. Superior cerebellar art

Correct answer: 1. Post. Cerebral art

Explanation: A. i.e. Posterior cerebral artery